Chandler's Index is used for
1. Filariasis
2. Ascariasis
3. Guinea worm
4. Ancylostoma

Correct answer: 4. Ancylostoma

Explanation: Chandler Index It is the average number of hookworm eggs per gram of faeces for the entire community. Ref : Paniker's textbook of Medical Parasitology 8th edition Pgno : 182